Deep perineal pouch contains:
1. Bulb of penis
2. Crura of penis
3. Bulbospongiosus
4. Cowpers gland

Correct answer: 4. Cowpers gland

Explanation: DEEP PERINEAL POUCH CONTAINS Muscles Deep transverse perineal muscle External sphincter muscle of urethra External sphincter muscle of urethra(male) Compressor Urethrae Muscle(female) Urethrovaginal Sphincter (female) Other Membranous portion of the urethra (males) / proximal portion of urethra (females) Bulbourethral gland (males) - cowpers gland Vagina (females)